Which is not a metastatic complication of gonococci
1. Endocarditis
2. Meningitis
3. Nephritis
4. Arthritis

Correct answer: 3. Nephritis

Explanation: Blood invasion may occur from the primary site of infection and may lead to metastatic lesions such as arthritis, ulcerative endocarditis and very rarely, meningitis. Occasional cases of pyemia have been reported. Reference: Textbook of Microbiology; Anathanarayan and panicker's; 10th edition; Page no: 235